Antigenic shift and drift occurs in
1. Influenza
2. Mumps
3. Measles
4. Rubella

Correct answer: 1. Influenza